Buschke - Lowenstein tumor is:
1. Malignant transformation in plantar wart
2. Malignant transformation in anogenital wart
3. Malignant transformation in common wart
4. Malignant transformation in seborrheic wart

Correct answer: 2. Malignant transformation in anogenital wart

Explanation: Bushke - Lowenstein tumour (verrucous carcinoma): Tumor destroy adjacent tissue by compression, No metastasis usually (Locally malignant) Verrucous carcinoma is a locally aggressive form of condyloma acuminata. Wide local excision is TOC Topical immunomodulators- Imiquimod (Aldara)can be given Very large lesions may respond to external beam radiation, but resection is almost always required.